What is the dose of Testosterone in Hvpogonadal male?
1. 25 -50 mg IM/week
2. 50- 75 mg IM/week
3. 75 - 100 mg IM/week
4. 150 - 200 mg IM/week

Correct answer: 3. 75 - 100 mg IM/week

Explanation: (C) 75 - 100 mg IM/week # RECOMMENDED REGIMENS FOR ANDROGEN REPLACEMENT:> Testosterone esters are administered typically at doses of 75-100 mg intramuscularly every week or 150-200 mg every 2 weeks.> One or two 5-mg nongenital testosterone patches can be applied daily over the skin of the back, thigh, or upper arm away from pressure areas.> Testosterone gel typically is applied over a covered area of skin at a dose of 5-10 g daily; patients should wash their hands after gel application.> Bioadhesive buccal testosterone tablets at a dose of 30 mg typically are applied twice daily on the buccal mucosa.